To avoid amblyopia, a congenital cataract should be ideally operated within the age of –
1. 6 weeks
2. 6 months
3. 12 months
4. 24 months

Correct answer: 1. 6 weeks

Explanation: The patient in question is a case of unilateral dense cataract and hence should be operated as early as possible.
From the options provided surgery at four weeks is the earliest and hence the best answer.